True statement regarding fracture base of the skull are all of the following except:
1. Prophylactic antibiotics are usually not required
2. Associated with 8 cranial nerve palsy
3. Early surgery is indicated for optimal outcome
4. May present with CSF otorrhoea

Correct answer: 3. Early surgery is indicated for optimal outcome

Explanation: Ans. C: Early surgery is indicated for optimal outcome